Scutum is?
1. Bony part of outer attic wall
2. Bony part of inner attic wall
3. Cartilaginous part of outer attic wall
4. Cartilaginous part of inner attic wall

Correct answer: 1. Bony part of outer attic wall

Explanation: Scutum forms bony part of lateral attic wall. Reference: Dhingra 6th edition